In Couinaud classification, segment IV of liver is
1. Caudate lobe
2. Quadrate lobe
3. Right lobe
4. Left lobe

Correct answer: 2. Quadrate lobe

Explanation: Segment 1 - caudate lobe, segment 4 - quadrate lobe ,.segments( 1,2,3,4) left lobe, segments (5,6,7,8)- right lobe Reference SRB edition :5 page:593 and internet